Mechanism of action of Triazoles
1. Inhibits cell wall synthesis
2. Inhibits ergosterol biosynthesis
3. Inhibits glucan synthesis
4. Inhibits tubulin

Correct answer: 2. Inhibits ergosterol biosynthesis

Explanation: * Triazole antifungals (Fluconazole, Itraconazole, Voriconazole, Posaconazole) inhibit 14-sterol demethylase --> impair the biosynthesis of ergosterol--> resulting in depletion of membrane ergosterol along with accumulation of the toxic product 14-methyl-3,6- diol --> leading to fungal growth arrest. Ref:- Goodman & Gilman Pharmacological Basis of Therapeutics 13th Ed; Pg num:- 1091